According to WHO Global Action Plan for prevention and control of Non-communicable Diseases 2013-2020, targeted reduction in prevelence of raised blood pressure is :
1. 10%
2. 25%
3. 33%
4. 50%

Correct answer: 2. 25%

Explanation: WHO Global Action Plan for Prevention and control of Non-communicable Diseases 2013-2020 Vision: A world free of the avoidable burden of non-communicable diseases. Goal: To reduce the preventable and avoidable burden of morbidity, mortality and disability due to NCDs. Voluntary Global Targets: 25% relative reduction in the overall mortality from cardiovascular diseases, cancers, diabetes, or chronic respiratory diseases. >10% relative reduction in the harmful use of alcohol, as appropriate, within the national context 10% relative reduction in prevelence of insufficient physical activity. 30% relative reduction in mean population intake of salt/sodium 30% relative reduction in prevelence of current tobacco use in persons aged 15+ years. 25% relative reduction in the prevelence of raised blood pressure or contain the prevelence of raised blood pressure, according to national circumstances. Halt the rise in diabetes and obesity >50% of eligible people receive drug therapy and counselling (including glycemic control) to prevent heart attacks and strokes. 80% availability of the affordable basic technologies and essential medicines, including generics required to treat major NCDs diseases in both public and private facilities Ref: Park 25th edition Pgno: 383